Mid esophageal diverticula is classically caused by:
1. Congenetal defect
2. Esophageal squamous cell carcinoma
3. Tuberculosis
4. Trauma

Correct answer: 3. Tuberculosis

Explanation: Mid-esophageal diverticula caused by traction from adjacent inflammation classically tuberculosis. They are true diverticula involving all layers of the esophageal wall. Reference: Harrisons Principles of Internal Medicine, 18th Edition